Which of the following is true for Klinefelter's syndrome?
1. 45X0
2. Arm span and height more
3. Attains puberty normally
4. Normal testis and genitalia

Correct answer: 2. Arm span and height more

Explanation: Ans. b. Arm span and height moreKlinefelter Syndrome (47, XXY) is seen in 1 in 1,000 births.Genetics; most common findings manifested at pubertyFindingsDecreased IQ (average IQ 85-90)Behavioral/psychiatric problemsLong limbs (decreased upper: lower segment ratio)Slim (weight/height ratio low)Hypogonadism and hypogenitalism (testosterone replacement at age 11-12 years)=hypergonadotropic hypogonadism (increased FSH and LH, and decreased testosterone)Infertility in almost allGynecomastiaExtra MileTall statureUsually a normal variant (familial tall stature)Other causes: exogenous obesity, endocrine causes (growth hormone excess , androgen excess [tall as children, short as adults)Syndromes: Homocystinuria, Sotos, Klinefelter